Which of the following describes In vitro fertilization:
1. Method to judge the time of ovulation so that coitus can result in fertilization
2. Use of hormones to promote fertilization in the tubes
3. Removing mature ova, fertilizing it with sperm and implanting back in uterus
4. Artificial insemination

Correct answer: 3. Removing mature ova, fertilizing it with sperm and implanting back in uterus

Explanation: Ans. C: Removing mature ova, fertilizing it with sperm and implanting back in uterusIn Vitro fertilization is a technique employed in cases of infertility. Steps include removing mature ova, fertilizing it with sperm and implanting one or more of them back in uterus at the four cell stage. It has a 5-10% chance of producing a live birth.